The offset angle of Gracey curette between the blade and shank is:
1. 50°
2. 70°
3. 80°
4. 90°

Correct answer: 2. 70°